TRUE/FALSE about peripheral nerve injuries in upper limb are: 1. Radial nerve injury cause anaesthesia over anatomical snuff box 2. Medial nerve cause wrist drop 3. Ulnar nerve causes claw hand 4. Index finger anesthesia is caused by median nerve injury 5. Thumb anesthesia is caused by ulnar nerve injury
1. 1,2,3 true & 4,5 false
2. 2,3,4 true & 1,5 false
3. 1,3,4 true & 2,5 false
4. 1,2 false & 3,4,5 true

Correct answer: 3. 1,3,4 true & 2,5 false

Explanation: Options 1 (true) The cutaneous branch of the radial nerve supply the skin over anatomical snuff box, as such radial nerve injury causes anaesthesia over anatomical snuff box.Option 2 (false)Paralysis of the extensor muscles of the forearm produces wrist drop. This is usually due to the radial nerve above the level of origin of posterior interosseous nerve, e.g. in axilla and arm. Option 3 (true)Claw hand can be produced by many lesions, including lesions of ulnar nerve, a combined lesions of ulnar nerve and median nerves, klumpke's paralysis, lesion of the medial cord of brachial plexus. Option 4 (true) and 5 (false)Lateral three and half digits (palmar aspect of middle and distal phalanges) are supplied by median nerve. Lateral half of dorsum of hand including proximal phalanges of lateral two and half digits is supplied by radial nerve.